The site of action of the furosemide is:
1. Thick ascending limb of loop of Henle
2. Descending limb of loop of Henle
3. Proximal convoluted tubule
4. Distal convoluted tubule

Correct answer: 1. Thick ascending limb of loop of Henle

Explanation: Ans. (A) Thick ascending limb of loop of Henle(Ref: Goodman and Gilman 12th/678)Furosemide is a loop diuretic and this group of drugs act on thick ascending limb of loop of Henle.